Which of the following statements concerning alveolar macrophages is true?
1. They secrete a1-antitrypsin.
2. They secrete elastase.
3. They originate from blood neutrophils
4. They may play a role in causing hyaline membrane disease

Correct answer: 2. They secrete elastase.

Explanation: Alveolar macrophages secrete elastase. Normally, a1-antitrypsin, a serum protein, interacts with elastase, thereby protecting the lung against damage that may lead to emphysema.